Vitamin A deficiency is considered a public health problem if prevalence rate of night blindness in children between 6 months to 6 years is more than –
1. 0.01%
2. 0.05%
3. 0.10%
4. 1.00%

Correct answer: 4. 1.00%

Explanation: Prevalence criteria for determining the Xerophthalmia problem in a community